The characteristic feature of apostosis on light microscopy is
1. Cellular swelling
2. Nuclear compaction
3. Intact cell membrane
4. Cytoplasmic eosinophlia

Correct answer: 2. Nuclear compaction

Explanation: In H&E-stained tissue sections, the nuclei of apoptotic cells show various stages of chromatin condensation and aggregation and, ultimately, karyorrhexis; at the molecular level, this is reflected in fragmentation of DNA into nucleosome-sized pieces. The cells rapidly shrink, form cytoplasmic buds, and fragment into apoptotic bodies composed of membrane-bound vesicles of cytosol and organelles. Because these fragments are quickly extruded and phagocytosed without eliciting an inflammatory response, even substantial apoptosis may be histologically undetectable( Robbins Basic Pathology, 9th edition, page 18 )